Drugs which cause both physical and psychological dependence are
1. Morphine
2. Alcohol
3. Nicotine
4. All the above

Correct answer: 4. All the above

Explanation: All the above-mentioned drugs produce both physical and psychological dependence in varying degrees Ref: Essentials of postgraduate psychiatry By JN Vyas 1st ed Pg 326